Suffix A for rubber dam denotes
1. Winged camp
2. Wingless camp
3. Deciduous teeth
4. Partially erupting teeth

Correct answer: 4. Partially erupting teeth